Metyrapone acts by -
1. Inhibition of 17a-Hydroxylase
2. Inhibition of 21b-Hydroxylase
3. Inhibition of 11b-Hydroxylase
4. Inhibition of 3b-Hydroxysteroid dehydrogenase

Correct answer: 3. Inhibition of 11b-Hydroxylase

Explanation: Ans. is 'c' i.e., Inhbition of 11b-Hydroxylase o Metyrapone inhibits 1113-Hydroxylase in adrenal cortex and prevents synthesis of hydrocortisone.